Stauffer syndromeis related to:
1. Hepatocellular carcinoma
2. Carcinoma colon
3. Carcinoma breast
4. Renal cell carcinoma

Correct answer: 4. Renal cell carcinoma

Explanation: Non metastatic hepatic dysfunction occurring in RCC is called Stauffer syndrome
Renal Cell Carcinoma :
Also known as Hypernephroma/Grawitz tumor
Risk factors :
Cigarette smoking (strongest association)
Tuberous sclerosis
Von Hippel Lindau syndrome
Adult polycystic kidney disease
Acquired cystic disease of kidney associated with end stage renal disease